TOF - include all except -
1. Pulmonary stenosis
2. VSD
3. ASD
4. RVH

Correct answer: 3. ASD

Explanation: Ans. is 'c' i.e., ASD Tetrology of falloty Cyanotic heart disease (MC).Defect in infundibular septum leads to :Pulmonary stenosis.VSD (Not ASD)Dextroposition and overriding of aorta.Right ventricular hypertrophy (NOT LVH).Pink TOP (Acyanotic TOF) when PS is mild to moderate balanced shunt tnt across the VSD, pt not have cyanosis.